The millet rich in calcium is -
1. Rice
2. Ragi
3. Jowar
4. Bajra

Correct answer: 2. Ragi

Explanation: Calcium content of ragi is 344.0 per 100gram.And that if bajra is 42.0 and of jowar is 25.0.(Ref.PARK'S textbook of social and preventive medicine 21st edition page no.579 table 18)